Sun ray fungus is
1. Actinomyces irraeli
2. Chromoblastomycosis
3. Streptomyces griseus
4. Cryptococcus

Correct answer: 1. Actinomyces irraeli

Explanation: Actinomyces colonies form fungus-like branched networks of hyphae. The aspect of these colonies initially led to the incorrect assumption that the organism was a fungus and to the name Actinomyces, "ray fungus" Ref : Ananthanarayana textbook of Microbiology 9th edition Pgno : 391